One of the following polyps in the stomach does not become maligant -
1. Tubular adenoma
2. Villous adenoma
3. Multiple polyposis
4. Hyperplastic polyps

Correct answer: 4. Hyperplastic polyps